A man came with his wife in the psychiatric department. She is complaining about his increased cleanliness. He keeps on washing hands in frequent intervals telling that it's not clean. He wants everything in an ordered manner. He is becoming obsessive in everything and compelling everyone at home to follow him. Which of the following drug is most useful in this patient?
1. Amoxapine
2. Fluoxetine
3. Doxepin
4. Dothiepin

Correct answer: 2. Fluoxetine

Explanation: Ans.B. FluoxetinThis patient is suffering from obsessive-compulsive disorder (OCD). Preferentially Selective Serotonin Reuptake Inhibitors (SSRIs), the medications most effective in treating OCD, mainly inhibit their reuptake of serotonin into nerve cells. These medications include clomipramine, fluoxetine, sertraline, paroxetine, citalopram, escitalopram, and fluvoxamine. Medications with noradrenergic reuptake inhibition produce no benefit and may counteract or diminish the efficacy of serotonergic reuptake inhibition.